Botulinum toxin act by:
1. Synthesis of Ach.
2. inhibits Ach release.
3. Secretion of Ach.
4. None of the above.

Correct answer: 2. inhibits Ach release.